Tourniquet test is used for monitoring patients with?
1. Infectious mononucleosis
2. Zika Virus infection
3. Dengue fever
4. Chikungunya

Correct answer: 3. Dengue fever

Explanation: The tourniquet test is a part of WHO case definition for dengue. It is a market for capillary fragility Procedure of Tourniquet test 1) Take the BP, example 120/80 2) Inflate cuff to midway between SBP and DBP (120+80/2)=100mm Hg and maintain for 5 minutes. 3) Reduce the cuff pressure and wait for 2 minutes 4) Count the petechiae below antecubital fossa. A positive test is >10 or more petechiae per square inch